A 70 year female patient having coronary artery disease was found to have asymptomatic gallstones on routine ultrasound scan of the abdomen. What the best management for his gallstones:
1. Laparoscopic removal of gall bladder
2. Open cholecystectomy
3. ERCP assisted gallstones removal
4. Observation

Correct answer: 4. Observation

Explanation: Ans. D: Observation